A 40 year old patient it comes with right upper quadrant pain from last 48 hours. Ultrasound reveals calculous cholecystitis. What is the preferred treatment
1. cholecystectomy
2. Antibiotics alone
3. Antibiotics and interval cholecystectomy
4. Analgesics

Correct answer: 1. cholecystectomy

Explanation: If symptomatic cholecystitis patients comes within 72 hours emergency cholecystectomy is preferred.
If patient comes late then interval cholecystectomy is done after 6 weeks.